The bleaching material used for night guard vital tooth bleaching is
1. Superoxol
2. Anesthetic ether and hydrochloric acid
3. Sodium bicarbonate
4. Carbamide peroxide

Correct answer: 4. Carbamide peroxide